Thyroid follicles are lined by which type of epithelium
1. Squamous
2. Cuboidal
3. Transitional
4. None

Correct answer: 2. Cuboidal

Explanation: During active phase the lining of the follicles is columnar,while in resting phase,it is cuboidal. REFERENCE:BDC VOL-3,FIFTH EDITION